All of the following are components of vaginal sphincter, EXCEPT?
1. External urethral sphincter
2. Internal urethral sphincter
3. Bulbospongiosus
4. Pubovaginalis

Correct answer: 2. Internal urethral sphincter

Explanation: Four muscles compress the vagina and act as sphincters:PubovaginalisExternal urethral sphincterUrethrovaginal sphincterBulbospongiosus